Calabar swelling is produced by?
1. Onchocerca volvulus
2. Loa loa
3. Burgia malayi
4. Wuchereria bancrofti

Correct answer: 2. Loa loa

Explanation: Ans. is 'b' i.e., Loa - Loa Loiasis . Loiasis is caused by L. Loa (the African eye worm) . Habitat of adult worms is subcutaneous connective tissue of man; often in the sub-conjuctival tissue of the eye. . The worm passes its life cycle in two hosts : - Man - Chrysops (Mango or deer flies) . C/Fs --> Asymptomatic microfilaremia Calabar (fugitive) swelling - subcutaneous swelling Nephropathy Encephalopathy rare Cardiomyopathy Calabar swelling is due to hypersensitivity reaction to the adult worm.